Monckeberg sclerosis involves which vessel layer
1. Intima
2. Media
3. Externa
4. All of the above

Correct answer: 2. Media

Explanation: Mockeberg sclerosis is calcification of Medial layer of arteries.
They are non obstructive and asymptomatic.